U/L injury to hypoglossal nerve leads to all except -
1. Hemiatrophy of involved side
2. Deviation of tongue towards the same side
3. Loss of taste sensation in one half of the tongue
4. Fasciculation of the tongue

Correct answer: 3. Loss of taste sensation in one half of the tongue

Explanation: Hypoglossal nerve is a pure motor nerve and does not carry taste sensation.